Which of the following glycolytic enzyme is used in gluconeogenesis ?
1. Glucokinase
2. Pyruvate kinase
3. Aldolase
4. Phosphofructokinase

Correct answer: 3. Aldolase

Explanation: Aldolase is the enzyme which catalyses reversible reaction of glycolysis. So this enzyme is utilized in gluconeogenesis.
Glucokinase, pyruvate kinase and phosphofructokinase are enzymes which catalyse irreversible reaction of glycolysis and which are bypassed by different sets of enzymes during gluconeogenesis.